Lesion at which part of visual pathway causes homonymous hemianopia?
1. Optic tract
2. Optic nerve
3. Optic Chiasma
4. Retina

Correct answer: 1. Optic tract

Explanation: A left homonymous hemianopsia can be caused by a lesion in the right optic tract or the right side of the brain. With a tract lesion, the pupillary reflex is lost if light is only projected from the blind hemifield; the pupil reacts when the lesion is posterior to the geniculate body in the optic radiations or occipital lobe. Transient homonymous hemianopsia may occur with migraine. Ref: LeBlond R.F., DeGowin R.L., Brown D.D. (2009). Chapter 7. The Head and Neck. In R.F. LeBlond, R.L. DeGowin, D.D. Brown (Eds), DeGowin's Diagnostic Examination, 9e.